Person preoccupied by worries about ill health is -
1. Hypochondriac
2. Maniac
3. Depressed
4. Delirium

Correct answer: 1. Hypochondriac